First investigation for solitary thyroid nodules is: (Or) Investigation of choice in discrete thyroid swelling is
1. Thyroid scan
2. CT scan
3. MRI
4. FNAC

Correct answer: 4. FNAC